Fluorodeoxyglucose-positron emission tomography (FDG-PET) does not detect which of the following?
1. Typical carcinoid
2. Atypical carcinoid
3. Small cell neuroendocrine tumor
4. Large cell neuroendocrine tumor

Correct answer: 1. Typical carcinoid

Explanation: ANS. ATumors which have low metabolic rate is negative on FDG-PET.Examples of low metabolic tumors are:1. Bronchoalveolar carcinoma2. Carcinoid tumors.But the question had both typical and atypical carcinoid.Typical carcinoid has less number of mitosis than atypical carcinoid, hence, it has less metabolic rate than atypical carcinoid. So, typical carcinoid is the answer.